To examine the vaginal cells in the rape accused, the test used is:
1. Lugol's iodine test
2. Takayamatest
3. Florence test
4. Precipitin test

Correct answer: 1. Lugol's iodine test

Explanation: Ans. (A). Lugol's iodine testLugol's iodine test is to detect vaginal epithelial cells containing glycogen.Takayama test is to detect blood stains; while Florence test is test for seminal stain.